Increased sweat chloride is seen in all except -
1. Ectodermal dysplasia
2. Nephrogenic diabetes insipidus
3. Glucose 6 phosphatase deficiency
4. Obesity

Correct answer: 4. Obesity

Explanation: Ans. is d i.e., Obesity Increased sweat chloride is seen in - i) Cystic fibrosis v) Familial cholestasis ix) Untreated adrenal insufficiency (Addison disease) ii) Malnutrition vi) Ectodermal dysplasia x) Hereditary nephrogenic diabetes insipidus iii) Pancreatitis vii) Fucosidosis xi) Hypoparathyroidism iv) Hypothyroidism viii) Mucopolysaccharidosis xii)Glucose-6-phosphatase deficiency